The blood glucose level in diabetes mellitus is decreased by removal of the:
1. Thyroid
2. Parathyroids
3. Anterior pituitary
4. Posterior pituitary

Correct answer: 3. Anterior pituitary